Metabolic alkalosis is seen in -
1. Primary mineralocorticoid excess
2. Deficiency of mineralocorticoid
3. Decreased acid excretion
4. Decreased base excretion

Correct answer: 1. Primary mineralocorticoid excess